Route of transmission of HepatitisaEUR' E virus is:
1. Skin
2. Faeco oral
3. Blood
4. Sexual contact

Correct answer: 2. Faeco oral

Explanation: Faeco oral